Minimum antenatal visit as per MCH is -
1. 1
2. 2
3. 3
4. 4

Correct answer: 4. 4

Explanation: Ans. is 'b' i.e., 4 o Now, at least 4 antenatal visits, during pregnancy, are recommended.o In these cases, a minimum of 4 visits covering the entire period of pregnancy should be the target.151 visit at 12 weeks or as soon as pregnancy is known.2nd visit at 14-26 weeks.3rd visit at 28-34 weeks.4th visit at between 26 weeks and term.